Bimodal distribution is seen in -
1. Thyroid carcinoma
2. Hodgkins lymphoma
3. Renal carcinoma
4. Liver carcinoma

Correct answer: 2. Hodgkins lymphoma

Explanation: Ans. is 'b' i.e., Hodgkins lymphoma * One important phenomenon in age distribution is bimodality, i.e. some disease show two peaks in different age groups. Diseases showing bimodality are Hodgkin's disease, leukaemia, and female breast cancer.